A 27-year-old mountain climber falls from a steep rock wall and is brought to the emergency department. His physical examination and computed tomography (CT) scan reveal dislocation fracture of the upper thoracic vertebrae. The fractured body of the T4 vertebra articulates with which of the following parts of the ribs
1. Head of the third rib
2. Head of the fifth rib
3. Neck of the fourth rib
4. Tubercle of the fourth

Correct answer: 2. Head of the fifth rib

Explanation: The body of vertebra T4 articulates with the heads of the fourth and fifth ribs. The body of the T3 vertebra articulates with the head of the third and fourth ribs. The neck of a rib does not articulate with any part of the vertebra. The transverse process of the vertebra articulates with the tubercle of the corresponding rib. Therefore, the transverse process of vertebra T4 articulates with the tubercle of the fourth rib.